Which of the following is true about oral therapy for iron deficiency anemia?
1. In 300 mg elemental iron given, 100 mg gets absorbed
2. Reticulocytosis appears in one to 2 weeks and then peaks in 3-4 weeks
3. Response to treatment starts appearing in 4 weeks
4. Decrease in absorption occurs with improvement of symptoms

Correct answer: 4. Decrease in absorption occurs with improvement of symptoms

Explanation: Discussing about the options one by one, a. Only 10% of the iron given by oral route gets absorbed.- so option 1 is wrong b. Reticulocytosis appears in 48-72 hours, peaking at 5-7 days - so option 2 is wrong c. Clinical response to treatment appears within 24 hours - so option 3 is wrong d. The normalization of body iron store relatively decreases the iron absorption - option 4 is true TREATMENT OF IDA: - 3-6 mg/kg/ day of elemental iron in 2-3 divided closes - Maximum dose: 150-200mg of elemental Iron daily - Iron is continued for 8 weeks after blood values normalized - For IV correction, total amount of Iron needed = body weight (in kg) x (15-patient's Hb) x 2.3